Dentigerous cyst arises from
1. The root of a caries tooth
2. The periosteum of the fractured mandible
3. An unerupted permanent tooth
4. The sequenstrum of osteomyelitis of mandible

Correct answer: 3. An unerupted permanent tooth

Explanation: Dentigerous cyst is a unilocular cystic swelling arising in relation to the dental epithelium from an unerupted tooth SRB,5th edition,360.